All the following are examples of nominal scale except-
1. Race
2. Sex
3. Iris color
4. Blood pressure

Correct answer: 4. Blood pressure

Explanation: Nominal scale is used for qualitative data.

Blood pressure is quantitative data, which is used on the ratio scale.
Race, sex and Iris color are qualitative data.